Long acting reversible contraception all EXCEPT:
1. CuT
2. Lap tubal sterilisation
3. Implanon
4. LNG IUD

Correct answer: 2. Lap tubal sterilisation

Explanation: Laparoscopic or Open sterilization procedures are irreversible permanent methods of contraception. These are advised only when the couple are sure of having achieved their desired family size LNG-IUD: Levonorgestrel-releasing intrauterine systems--Mirena(5 years) and Skyla(3 years). Each releases the progestin into the uterus at a relatively constant rate, which reduces systemic effects. Copper devices can act from 3 years to up to 10 years. Implanon A single-rod implant with 68 mg of etonogestrel covered by an ethylene vinyl acetate copolymer cover. Placed subdermally on the medial surface of the upper arm 8 to 10 cm from the elbow in the biceps groove and is aligned with the long axis of the arm. Used for 3 years Not radiopaque, and identified with sonography Nexplanon, which is similarly shaped and pharmacologically identical to Implanon but is radiopaque.